Simple bone cyst is common in
1. Upper end of Humerus
2. Upper end of Radius
3. Upper end of Femur
4. Lower end of Femur

Correct answer: 1. Upper end of Humerus